A patient presents with upper abdominal pain and vomiting.
His pulse rate is 100/min and BP is 70/40 mm Hg. A diagnosis of
pancreatitis is made. What is the next appropriate
management?
1. Immediate IV fluids
2. Surgery
3. Enteral nutrition
4. IV antibiotics

Correct answer: 1. Immediate IV fluids

Explanation: IV fluids (RL) is the first step of management of acute pancreatitis.